Biphasic respiratory depression is usually seen after:
1. Neuroleptanaesthesia
2. Regional anaesthesia
3. Halothane anaesthesia
4. Isoflurane anaesthesia

Correct answer: 1. Neuroleptanaesthesia

Explanation: Neuroleptanaesthesia is produced by droperidol + fentanyl. Fentanyl after IV injection is sequestered by stomach in significant amounts, released into circulation after 3-6 hours and can produce second phase of respiratory depression i.e., biphasic respiratory depression.